Not a diaphyseal tumor
1. Adamantinoma
2. Chondroblastoma
3. Osteoid osteoma
4. Ewing's sarcoma

Correct answer: 2. Chondroblastoma